Tissue or tumor-specific tumor markers are all Except
1. PSA
2. Calcitonin
3. Cathecolamines
4. LDH

Correct answer: 4. LDH

Explanation: LDH, it is elevated in many hematological malignancies and Ewing's sarcoma, it is considered as a representative of tumor burden.Reference: Harrison; 19th edition